True about hepatitis A viurs -
1. Causes cirrhosis
2. Helps HDV replication
3. Common cause of hepatitis in children
4. Causes chronic hepatitis

Correct answer: 3. Common cause of hepatitis in children

Explanation: Ans. is 'c' i.e., Common cause of hepatitis in children o HAV is the most common cause of hepatitis in children.o HAV does not cause chronic hepatitis or cirrhosis,o HBV (no HAV) helps in HDV replication.Hepatitis W viruso HAV is a non enveloped R19A virus.o It is classified in genus Hepatovirus under familypicornavirus.o Originally called as enterovirus 72.o It is the only human hepatitis virus which can be cultivated in vitro. It can be grown in some human and simian cell cultures.o Most common cause of acute hepatitis in children,o Transmission is by feco-oral route.o Virus is shed in feces during the late incubation period and prodromal phase of the illness.o May be present occasionally in the saliva and urine of patients, but this is not relevant in spread.Prophylaxis Both passive and active prophylaxis are available.Passive prophylaxis by pooled normal human immunoglobulin is given IM. before exposure or in early incubation period.Active prophylaxis is by conjugate vaccine containing HAV (inactivated by formalin) grown in human diploid cell culture.